All are true about medicolegal autopsy except
1. Inquest required
2. Consent of relatives required
3. To find out the cause of death in unnatural deaths
4. To find out the time and manner of death

Correct answer: 2. Consent of relatives required

Explanation: Medicolegal autopsy A case under IPC Inquest required Consent of relatives not required To find out the cause of death in unnatural deaths like suicides, homicides and accidents To find out the time and manner of death Identification in case of unknown bodies Ref: FORENSIC MEDICINE AND TOXICOLOGY Dr PC IGNATIUS THIRD EDITION PAGE 45